The direction of the bevel of the chisel during bone cutting is
1. Away from the bone to be sacrificed
2. Towards the bone to be sacrificed
3. Independent of the bone to be sacrificed
4. Parallel to stress lines

Correct answer: 2. Towards the bone to be sacrificed